Post-exposure prophylaxis against HIV infection should not be delayed beyond
1. 8 hours
2. 24 hours
3. 48 hours
4. 72 hours

Correct answer: 4. 72 hours

Explanation: Pre Initiation in NACP PEP needs to be standard as soon as possible after the exposure and within 72 hours In animal studies, initiating PEP within 12,24 or 36 hours of exposure was more efficient than initiating PEP 48 hours off 72 hours following exposure PEP is not effective when given more than 72 hours after exposure A baseline rapid HIV testing should be done before starting PEP HIV+ Asymptomatic HIV+ Symptomatic HIV status unknown Mild exposure Consider 2-drug PEP Start 2-drug PEP Usually no PRP/ Consider 2-drug PEP Moderate exposure Start 2-drug PEP Start 3-drug PEP Usually no PEP/Consider 2-drug PEP Severe exposure Start 3-drug PEP Start 3-drug PEP Usually no PEP/Consider 2-drug PEP Ref: Antiretroviral Therapy Guidelines for HIV infected Adults and Adolescents Including Post-exposure prophylaxis, MOHFW, GOI. Pgno : 78